The vertebral artery
1. Arises from the second part of subclavian artery , from behind scalenus anterior
2. Lies anterior to inferior thyroid artery
3. Passes through the C6 foramen transversarium
4. Passes anterior to the lateral mass of atlas and then enters the foramen magnum

Correct answer: 3. Passes through the C6 foramen transversarium

Explanation: The vertebral artery is a branch of first part of subclavian artery. It lies posterior to inferior thyroid artery. It passes posterior to lateral mass of atlas.